A child died soon after birth. On examination, there was hepatosplenomegaly and oedema all over the body. Most probable diagnosis is -
1. Beta Thalassemia
2. Alpha Thalassemia
3. Hereditary spherocytosis
4. Sickle cell anemia

Correct answer: 2. Alpha Thalassemia

Explanation: - Features given in the question suggests the diagnosis of Hydrops fetalis. - Out of all the four types of hemolytic anemias only severe form of alpha thalassemia caused d/t deletion of all 4 alpha globin chains, have such severe presentation at birth. - In all other conditions the newborn is either normal or has mild jaundice.